Weils' disease is caused by ?
1. Leptospira
2. Listeria
3. Mycoplasma
4. Legionella

Correct answer: 1. Leptospira

Explanation: Ans. is 'a' i.e., Leptospira